Polychromatic lustre is seen in –
1. Complicated cataract
2. Diabetes mellitus
3. Post radiation cataract
4. Congenital cataract

Correct answer: 1. Complicated cataract

Explanation: The earliest finding of complicated cataract is a polychromatic luster at the posterior pole of lens.